Regarding polio which is true
1. Most of the cases are symptomatic
2. Spastic paralysis is seen
3. IM injections and increased muscular activity increases the risk of paralytic polio
4. Pulse polio immunization is indicated in all children less than 3 years of age

Correct answer: 3. IM injections and increased muscular activity increases the risk of paralytic polio

Explanation: IM injections and increased muscular activity increases the risk of paralytic polio Repeat, from May 2008